Which of the following is the most common cause of emergency department visit related to LSD and its related substances?
1. Bad trip
2. Flashbacks
3. Synaesthesia
4. Papillary dilatation

Correct answer: 1. Bad trip

Explanation: The most frequent acute medical emergency associated with LSD use is a panic episode (the "bad trip"), which may persist up to 24 h.A trip is a period of intoxication from a hallucinogenic drug, such as lysergic acid (LSD) or magic mushrooms (psilocybin). It is called a trip because perceptions of the world change so dramatically, it can feel as if a trip to a strange, new land is taken. Unpleasant experience of hallucinogen intoxication is known as a bad trip.Harrison 19e pg: Cocaine and Other Commonly Abused Drugs